Fibre which does NOT pass through retrolenticular part of the internal capsule is ?
1. Frontopontine fibres
2. Posterior thalamic radiation
3. Optic radiation
4. All of the above

Correct answer: 1. Frontopontine fibres

Explanation: The anterior limb of the internal capsule contains frontopontine fibers, which arise from the cortex in the frontal lobe. The retrolenticular part of the internal capsule contains parieto- pontine, occipito- pontine and occipito- tectal fibers. It also includes the the posterior thalamic radiation and optic radiation and interconnections between the occipital and parietal lobes and caudal parts of the thalamus, especially the pulvinar. Ref: Gray's Clinical Neuroanatomy By Elliott L. Mancall, David G. Brock, 2011, Page 307.